O2 dissociation curve is shifted to right in all except-
1. Hypercapnea
2. Rise in temperature
3. Raised 2, 3 DPG level
4. Metabolic alkalosis

Correct answer: 4. Metabolic alkalosis

Explanation: Ans. is 'd' i.e., Metabolic alkalosis o Hypercapnea (raised CO2), rise in temprature and increased 2, 3 DPG cause righward shift of O2 dissociation curve,o Metabolic alkalosis causes leftward shift.o Alkalosis (increased pH), increased HbF, and hypothermia (decrease in temperature) cause a leftward shift of oxygen dissociation curve, i.e. increase oxygen affinity to hemoglobin,o Hypoxia (with decrease PaO,) causes a rightward shift of the curve, i.e. decreased oxygen affinity to hemoglobin.Ox Veen dissociation curveShifted to rightShifted to lefto Decreased oxygen affinity' to hemoglobino Increased P50o Increased oxygen delivery to tissueso Causes :y Decreased pH (Acidosis)y Increased temperaturey Increased PCO,y Increased 2,3 DPG (BPG)i) Growth hormone. Androgen, thyroid hormoneii) Exerciseiii) Tissue hypoxiaiv) High altitudev) Anemiavi) Alkalosisvii) Cyanotic CHDviii) Pregnancyix) Chemicals : E no sine, Pyruvate, PEP, phosphateySickle hemoglobin (HbS)o Increased oxygen affinity to hemoglobino Decreased P50o Decrease oxygen delivery to tissueso Causes :y Increased pH (alkalosis)y Decreased temperaturey Decreased PCO,y Decreased 2,3 DPG (BPG)Stored bloody Fetal hemoglobin (HbF)